Most important feature to diagnose fetal aneuploidy:
1. Absent nasal bone
2. Nuchal translucency
3. Increase in frontomaxillary angle
4. Reversal of ductus venosus flow

Correct answer: 2. Nuchal translucency

Explanation: B i.e. Nuchal translucencyRef: Current Progress in Obstetrics and Gynecology; John Stud, Volume 1, page 17Explanation:Ultrasound Markers of Fetal Aneuploidy:Nuchal translucency is the single most powerful tool. More than 3 mm needs evaluation.Absence of nasal bone.Absence or reversal of flow in the ductus venosus on Doppler.Tricuspid regurgitation.Increase in frontomaxillary angle more than 85 deg.